Maximum energy store in
1. Adipose
2. Liver
3. Muscle
4. Blood glucose

Correct answer: 1. Adipose

Explanation: It is the storehouse of energy in the body (about 1,35,000 kcal)The free fatty acid (FFA) mobilized from adipose tissue is the preferred fuel for muscle during starvationThe energy is stored in the concentrated form, triacylglycerol. The chylomicrons and VLDL are hydrolyzed by lipoprotein lipase present on capillary walls. It is activated by insulin.Ref: DM Vasudevan Textbook of Medical Biochemistry, 6th edition, page no: 87